Most commonly involved bone in Paget's disease
1. Skull
2. Femur
3. Pelvis
4. Vertebrae

Correct answer: 3. Pelvis

Explanation: The pelvis and tibia being the commonest sites, and femur, skull, spine (vertebrae) and clavicle the next commonest.(Refer: Mohindra's Fundamentals of Orthopedics, 2nd edition, pg no. 325, 410)